Alpha feto protein levels are increased in all of the following conditions, EXCEPT:
1. Open neural tube defects
2. Twin pregnancy
3. Downs syndrome
4. Intrauterine death

Correct answer: 3. Downs syndrome

Explanation: Down's syndrome is associated with low alfa feto protein, low pregnancy associated placental protein A (PAPP -A) and elevated hCG. Alfa feto protein is an oncofetal protein with a molecular weight of 70,000. It is produced by the yolk sac and fetal liver. Levels of AFP reaches the peak in fetal serum and amniotic fluid around 13 weeks and thereafter it decreases. AFP levels are elevated in : Wrong gestational age Open neural tube defects Multiple pregnancy IUFD Anterior abdominal wall defects Renal anomalies Ref: Textbook of Obstetrics By DC Dutta, 6th edn, Page 107